A patient with psoriasis was started on systemic steroids. After stopping the treatment, patient developed universally red scaly skin with plaques losing their margins all over his body. The most likely cause is –
1. Drug induced reaction
2. Pustular psoriasis
3. Bacterial infection
4. Erythrodermic Psoriasis

Correct answer: 4. Erythrodermic Psoriasis

Explanation: Clues in this question are -


Withdrawal of steroids
Plaques losing their margins
Generalized lesion


All suggest erythrodermic psoriasis.